Pseudoeschar formation is seen with
1. Silver Nitrate
2. Silver sulfadiazine
3. Sulfamylon
4. Mafenide acetate

Correct answer: 2. Silver sulfadiazine

Explanation: Pseudoeschar is thickened burnt skin due to repeated silver sulphadiazine application.